A pure tone audiogram with a dip at 2000Hz is characteristic of
1. Presbycusis
2. Ototoxicity
3. Otosclerosis
4. Noise induced hearing loss

Correct answer: 3. Otosclerosis

Explanation: In otosclerosis, there is a dip in bone conduction curve. It is different at different frequencies but maximum at 2000Hz and is called Carhart's notch. Ref: Diseases of EAR, NOSE and THROAT by PL Dhingra; 7th Edition; Page no.96